A patient of peptic ulcer disease, when investigated endoscopically showed chronic antral gastritis. Which of the following dye will be able to stain the specimen?
1. PAS
2. Ziehl- Neelsen stain
3. Gram stain
4. Warthin- starry stain

Correct answer: 4. Warthin- starry stain

Explanation: Most cases of chronic gastritis are of two types: Type 1 is of autoimmune etiology and is associated with pernicious anemia. It primarily involves body and fundus. Type 2 is associated with H. Pylori infection. It primarily involves antrum. Here the patient is having chronic antral gastritis which is associated with H. Pylori infection so dye used will be one which stains H. Pylori. Warthin- starry stain (or giemsa or genta silver stain) is the dye used to stain H. Pylori so it is the answer here. Ref: Chandrasoma Taylor, 3/e, Page 575.